Wrong statement about psychoanalysis is:
1. Parapraxis has meaning
2. Transference is patient's feeling for therapist
3. Counter transference is clinician's feelings for patient
4. Unguided communication has no meaning

Correct answer: 4. Unguided communication has no meaning

Explanation: According to psychoanalytic theory,s"para-praxis" or "slips of tongue" are believed to reveal unconscious content and hence are believed to have meaning. The description of transference and counter transference given in this question is also correct. The last statement is wrong. In psycho analysis, unguided communication is believed to have meaning. Unguided communication here refer to the technique of "free association" n which patient speaks all that comes into his mind, without any censoring. The "free association" helps in understanding the unconscious contents of mind and hence is meaningful.